Quinsy is synonymous with -
1. Parapharyngeal abscess
2. Retropharyngeal abscess
3. Peritonsillar abscess
4. Paratonsillar abscess

Correct answer: 3. Peritonsillar abscess